Critical pH in Mendelson syndrome -
1. 2.5
2. 3
3. 3.5
4. 4

Correct answer: 1. 2.5

Explanation: • Critical pH value: 2.5
• Gastric pH of 2.5 or less with a gastric contents volume greater than 25 ml are critical values.
• Maximum pulmonary damage is achieved at an aspirate pH value of 1.5.